Ferrochelatase is inhibited by -
1. Arsenic
2. Lead
3. Chromium
4. Mercury

Correct answer: 2. Lead

Explanation: Ans. is 'b' i.e., Lead * Lead inhibits ALA dehydratase. Therefore, lead poisoning causes inhibition of heme synthesis and excessive amount of d-ALA is excreted in urine. Lead can also inhibit ferrochelatase (heme synthase).